A person who laughs one minute and cries other minute has:
1. Incongruent effect
2. Euphoria
3. Labile effect
4. Split personality

Correct answer: 3. Labile effect

Explanation: Labile effect